Kerley B lines are due to-
1. Carcinoma bronchus
2. Pulmonary edema
3. Lung abscess
4. Pulmonary embolism

Correct answer: 2. Pulmonary edema

Explanation: In pulmonary oedema,chest X ray shows increased vascularity of the lung fields,and the right and left pulmonary arteries dilate.Subsequently,interstitial oedema causes thickened interlobular septa and dilated lymphatics.These are evident as horizontal lines in the costophrenic angles(septal or Kerley B lines). Reference:Davidson's medicine-22nd edition,page no:550.